The expectant line of management in placenta praevia is contraindicated in
1. Pre term foetus
2. Live foetus
3. Breech presentation
4. Active labour

Correct answer: 4. Active labour

Explanation: Active InterferenceThe indication of active treatment in placenta pre are: Bleeding is continuingBaby is dead or known to be congenitally deformed Bleeding occurs at or beyond 38 weeks of pregnancy Patients is in emarginated state on admissionPatient is labour.